Most common heart valve involved in IV drug user is:
1. Mitral valve
2. Aortic valve
3. Pulmonary valve
4. Tricuspid valve

Correct answer: 4. Tricuspid valve

Explanation: Answer is D (Tricuspid valve) Most common heart valve involved in IV drug layers is tricuspid valve. 'In almost 50% of patients who have endocarditis associated with injection drug use, infection is limited to the tricuspid valve' - Harrisons Endocarditis in drug abusers: most common age of patients affected - young malese most often source of infecting microorganisms is: skine most common agent is staphylococcus aureus most common valve involved is Tricuspid valve. tricuspid valve (50%) > aortic valve (25%) > mitral valve (20%) > multiple valves (rest) murmurs are frequently absent9 Cardiac murmurs are almost always present in infective endocarditis except in patients with: - early acute endocarditis intravenous drug abuse with tricuspid valve infection